Scabard trachea is seen in -
1. Thyroid cancer
2. Thyroiditis
3. Goitre
4. All the above

Correct answer: 4. All the above